When removing a rubber dam. The first step is to:
1. Remove the clamp
2. Release the holder
3. Apply a water soluble lubricant
4. Cut the interseptal rubber with scissors

Correct answer: 4. Cut the interseptal rubber with scissors